Features of non-proliferative DR is all except:
1. Neovascularisation
2. Soft exudate
3. Hard exudate
4. Cotton-wool spot

Correct answer: 1. Neovascularisation

Explanation: Ans. Neovascularisation